Prunning of pulmonary arteries is seen in –
1. Pulmonary hypertension
2. Chronic bronchitis
3. Pulmonary infections
4. Pulmonary transplant

Correct answer: 1. Pulmonary hypertension

Explanation: Characteristic radiological feature of pulmonary hypertension is enlargement of central arteries with peripheral prunning